Lacunar infarction is seen in:
1. Large vessel stroke
2. Small vessel stroke
3. Artery to artery embolic stroke
4. Temporal arteritis

Correct answer: 2. Small vessel stroke

Explanation: (Small vessel stroke) (2378-H 16th) (864-66-CMDT-2009) (2519-H17th)(A) LACUNAR INFARCTION - refer to infarction following atherothrombotic or lipohyalinotic occlusion of a small artery (30 to 300 pm) in the brain. The term small vessel stroke denotes occlusion of such small penetrating artery and is now the preferred.* Lacunar infarctions are associated with poorly controlled hypertension or diabetes.(B) CEREBRAL INFARCTION - Thrombotic or embolic occlusion of a major vessels leads to cerebral infarction.* Causes include the disorders predisposing to transient ischemic attacks and atherosclerosis.